To see if sample mean is an accurate estimate of Population mean, we use:
1. Geometric mean
2. Range
3. Deviation
4. Standard error

Correct answer: 4. Standard error

Explanation: Standard error: Gives deviation of each sample mean from population mean. Sample mean is known as Statistic. Population mean is known as parameter.